Which of the following has the highest cholesterol content
1. chylomicrons.
2. intermediate-density lipoproteins (IDLs).
3. LDL.
4. HDL.

Correct answer: 3. LDL.